Wilms tumor is associated with all of the following except
1. A. Hemihypertrophy
2. B. Aniridia
3. C. Hypertension
4. D. Bilateral polycystic kidney

Correct answer: 4. D. Bilateral polycystic kidney

Explanation: Wilms tumor (nephroblastoma) is the most common primary renal tumor of childhood in USA .It is associated with the following Refer 8/479-480 9/e p479